Soya bean is rich in -
1. Lysine
2. Aspartic acid
3. Glycine
4. Alanine

Correct answer: 1. Lysine

Explanation: Pulses are rich in lysine. They are poor in methionine and to a lesser extent cysteine. REF. PARK'S TEXTBOOK OF PREVENTIVE AND SOCIAL MEDICAL 21ST EDITION. PAGE NO - 580